Loop diuretics such as furosemide act by :
1. Decreasing tubular reabsorption of Na+ and increase GFR
2. Decreasing FP secretion with resultant increase in Na+ and K+excretion
3. Inhibiting Na+ + K+ – 2Cl– co transporter in the medullary thick ascending limb
4. Inhibiting Na+ – K+exchange in the collecting duct

Correct answer: 3. Inhibiting Na+ + K+ – 2Cl– co transporter in the medullary thick ascending limb